What is The site of attachment of ligament of ovary to uterus tube ?
1. anterosuperior
2. posterosuperior
3. posterior inferior
4. anteroinferior

Correct answer: 3. posterior inferior

Explanation: Each lateral border is rounded and convex. It provides attachment to the broad ligament of the uterus which connects it to the lateral pelvic wall. The uterine tube opens into the uterus at the upper end of this border. This end of the border gives attachment to the round ligament of the uterus, anteroinferior to the tube; and to the ligament of the ovary posteroinferior to the tube. The uterine artery ascends along the lateral border of the uterus between the two layers of the broad ligament. Ref : B D Chaurasi's Human Anatomy, Seventh Edition , Volume 2 , Pg. no., 420.